Thomas splint is used for immobilizing fractures of ?
1. Femur
2. Tibia
3. Radius
4. Ulna

Correct answer: 1. Femur

Explanation: Ans. is 'a' i.e., Femur Splints Any material which is used to support a fracture is called splint. Splints are used for immobilizing fractures; either temporarily during transportation or for definitive treatment. The most commonly employed splints is plaster of paris (POP) splint. Various POP splints are:- 1) Casts : - Here the POP roll completely encircles the limb. 2) Slab : - It is not completely encircles the limb, but only one half or one third circumference. 3) Spica : - This encircles a part of the body; e.g., hip spica for fractures around hip.